Positive schick's test indicates that the person is ?
1. Immune to diphtheria
2. Hypersensitive to diphtheria
3. Susceptible to diphtheria
4. Susceptible and hypersensitive to diphtheria

Correct answer: 3. Susceptible to diphtheria

Explanation: Ans. is c i.e., Susceptible to diphtheria o Shick test is no longer in use. It was used for the susceptibility of for diphtheria. o It was an intradermal test, in which after intradermal injections of diphtheria toxin in one forearm (usually left) and toxoid in other forearm two readings were taken one at 24-48 hrs and second at 5-7 days.